A neonate is suspected to be suffering from necrotizing enterocolitis (NEC). On further examination and investigation, he is diagnosed to be Bell's stage I NEC. The management of choice would be
1. Laparotomy and proceed
2. Insertion of bilateral pelvic drains
3. Conservative management with IV fluids and antibiotics
4. Initial conservative management and laparotomy after 24 hours

Correct answer: 3. Conservative management with IV fluids and antibiotics

Explanation: Ans. c. Conservative management with IV fluids and antibiotics The management of choice for Bell's Stage I necrotizing enterocolitis is conservative management with IV fluids and antibiotics. Treatment of Bell's Stage I Necrotizing Enterocolitis: NPO, II/fluids and Antibiotics for 3 days